Drug used in Toxoplasmosis is -
1. Pyrimethamine
2. Ribovarin
3. Ganciclovir
4. Tetracycline

Correct answer: 1. Pyrimethamine

Explanation: Ans. is 'a' i.e., Pyrimethamine o Doc for Toxoplasmosis Pyrimethamine and Sulfadiazine. o Spiramycin is the DOC in pregnancy. o For congenital infection and infection in immunocompetent patient pyrimethamine + sulfadiazine is the treatment of choice. o For immunocompromized patients TMP-SMX is recommended. o Other drugs used for toxoplasmosis - clindaymycin, Atovaquone, clarithromycin, Azithromycin, Dapsonepyrimethamine.